The appropriate media culture for a gram negative coccobacilli arranged in a school of fish , that causes STD with genital ulcers is
1. Thayer Main media
2. Blood agar with X and V factors
3. Chocolate agar with isovitale X
4. Tellurite blood agar

Correct answer: 3. Chocolate agar with isovitale X

Explanation: Chocolate agar enriched with 1%isovitalex is used to grow H.ducreyi.